The commonest cause of acute pancreatitis is ?
1. Biliary calculi
2. Alcohol abuse
3. Infective
4. Idiopathic

Correct answer: 1. Biliary calculi

Explanation: Ans. is 'a' i.e., Biliary calculi